A 10-year-old male child complaints of pain in left hypochondrium for 2 days. Hb-9.69%. His mother gives a history of passing black colored stools 7 days and 2-3 occasions for 2 yrs. During these episodes, he had fatiguability while playing and was not able to play with his peers. Which of the following will maximally help to arrive at a clinical diagnosis -
1. Pallor
2. Jaundice
3. Palpable spleen
4. Free fluid in the abdomen

Correct answer: 3. Palpable spleen